Herpes zoster in geniculate ganglion causes:
1. Bell's palsy
2. Ramsay Hunt syndrome
3. Merkelson Rosenthal syndrome
4. Frey's syndrome

Correct answer: 2. Ramsay Hunt syndrome

Explanation: Answer is B (Ramsay Hunt sSyndrome): Herpes Zoster of geniculate ganglion causes Ramsay Hunt Syndrome. The Ramsay Hunt Syndrome is caused by reactivation of Herpes Zoster in the geniculate ganglion and consists of a severe facial nerve palsy associated with a vesicular eruption in the external auditory canal and sometimes in the pharynx and other parts of the cranial integument '- Harrison